Portal vein supplies ?
1. Spleen
2. Liver
3. Pancreas
4. Colon

Correct answer: 2. Liver

Explanation: Ans. is 'b' i.e., Liver Portal vein is a vein, still it supply blood to liver (usually a vein drains blood from an organ or tissue). The liver has dual blood supply :- 20% of blood supply is through the hepatic artery. 80% of blood supply is through the portal vein.